Actinobacillus actinomycetamcomitans is commonly associated with
1. Juvenile periodontitis
2. Adult periodontitis
3. Refractory periodontitis
4. All the above

Correct answer: 1. Juvenile periodontitis